22 Gauge IV cannula color
1. Green
2. Gray
3. Blue
4. Pink

Correct answer: 3. Blue

Explanation: Ans. (c) BlueRef: Surgery Sixer 2nd Edition Page 14In our Hospitals commonly available cannulas for resuscitation are:* Grey: 16 G* Green: 18 G* Pink: 20 G* Blue: 22 G* Yellow: 24 G